Which classification is used to divide the liver into segments -
1. Couinaud's
2. Balthazar
3. Starzl
4. Anatomical

Correct answer: 1. Couinaud's

Explanation: Ans. is 'a' i.e., Couinaud's o The portion of liver on the left side of falciform ligament is left (anatomical) lobe of liver. And in Couinaud's functional segmentation of liver, the segment number 2, 3, 4a and 4b form the left liver lobe.Right lobeLeft lobeo Anterior# Right anterior inferior - Segment V# Right anterior superior - Segement VIIIo Posterior# Right posterior inferior - Segment VI# Right posterior superior - Segment VIIo Lateral# Left lateral superior - Segment II# Left lateral inferior - Segment IIIo Medial# Segment IV (Quadrate lobe)i) Left medial superior - IV aii) Left medial inferior - IV bo Caudate lobe (segment I) is posterior segment